Orange urine and tears are adverse effect of
1. Rifampicin
2. Isoniazid
3. Ethambutol
4. Pyrazinamide

Correct answer: 1. Rifampicin

Explanation: A. i.e. (Rifampicin) (742- KDT6th) (398- Lipincott's 3rd* Urine of patients taking Nitrofurantoin becomes dark brown due to its metabolites* Systemic administration of phenol gives - green colour to urineDrugAdverse- effectsCommentsEthambutolOptic neuritis** with blurred vision, red- green color blindnessEstablish baseline visual acuity and color vision test monthlyIsoniazidHepatic enzyme elevation, hepatitis, peripheral neuropathy*** Take base line LFT measurement* Clinically significant interaction with phenytoin* and anifungal agents (azols)PyrazinamideNausea, hepatitis, hyperuricemia**, rash joint ache, gout (rare)Take base line LFT and uric acid measurementRifampinHepatitis, GI upset, flue- like syndrome,**Take baseline LFT and CBC count, Warn patients that urine and tears may turn red- orange in color**StreptomycinOtotoxicity, nephrotoxicity**Do base line audiography and renal function tests* Red Man's Syndrome is caused by vancomycin (Fever, Urticaria and Intense flushing)